Mesosomes are prokaryotic counterpart of eukaryotic:
1. Mitochondria
2. Endoplasmic reticulam
3. Golgi apparatus
4. Nucleus

Correct answer: 1. Mitochondria

Explanation: Ans: a (Mitochondria) Ref:Ananthanarayan, 7th ed, p. 13Mesosomes are principal sites of respiratory enzymes in bacteria and are analogous to mitochondria of eukaryotes.Mesosomes, (also called chondroids) are vesicular, convoluted or multilaminated structures formed as invaginations of the plasma membrane into the cytoplasam.